All of the following are associated with Low C3 level except-
1. Post streptococcal glomerulonephritis
2. Membrano-proliferative Glomerulonephritis
3. Goodpasture disease
4. systemic lupus erythematosus

Correct answer: 3. Goodpasture disease